Which of the following is not associated with ANCA?
1. Microscopic polyangitis
2. Churg strauss syndrome
3. Wegener's granulomatosis
4. Henoch shonlein purpura

Correct answer: 4. Henoch shonlein purpura